All are TRUE about respiratory viruses, EXCEPT:
1. RSV - common cause of bronchiolitis in infants
2. Mumps causes septic meningitis
3. SSPE is a late complication of measles
4. Parainfluenza attaches to cell by hemagglutinin

Correct answer: 2. Mumps causes septic meningitis

Explanation: In children and young adults, enteroviruses are the cause of up to 90% of cases of aseptic meningitis in which an etiologic agent can be identified. Bacterias cause septic meningitis. Respiratory syncytial virus is the most important cause of (bronchiolitis) lower respiratory tract illness in infants and young children. SSPE, the rare late complication of measles infection, occurs with an incidence of about 1:300,000 cases. The disease begins insidiously 5-15 years after a case of measles; it is characterized by progressive mental deterioration, involuntary movements, muscular rigidity, and coma. It is usually fatal within 1-3 years after onset. Patients with SSPE exhibit high titers of measles antibody in cerebrospinal fluid and serum and defective measles virus in brain cells. With the widespread use of measles vaccine, SSPE has become less common. Parainfluenza viruses are ubiquitous and cause common respiratory illness in persons of all ages. They are major pathogens of severe respiratory tract disease in infants and young children. Only RSV causes more cases of serious respiratory disease in children. They attach haemagglutinin to sialic acid containing receptors on the cell surface of respiratory epithelium. Ref: Brooks G.F., Carroll K.C., Butel J.S., Morse S.A., Mietzneron T.A. (2010). Chapter 40. Paramyxoviruses & Rubella Virus. In G.F. Brooks, K.C. Carroll, J.S. Butel, S.A. Morse, T.A. Mietzneron (Eds), Jawetz, Melnick, & Adelberg's Medical Microbiology, 25e.